Torus aorticus is seen due to:
1. Atrium bulging into the aorta
2. Aortic sinus bulging into left atrium
3. Aortic sinus bulging into right atrium
4. Aortic wall tear

Correct answer: 3. Aortic sinus bulging into right atrium

Explanation: Torus aorticus (aortic mound) is the prominent region of the right atrial septum, which marks the projection of the noncoronary aortic sinus into the right atrial wall. The bulge is superior to the coronary sinus and anterior to the fossa ovalis. The right coronary artery arises from the anterior ('right coronary') aortic sinus; The left coronary artery arises from the left posterior (left coronary) aortic sinus.